Oxytocin causes all except-
1. Lactogenesis
2. Milk ejection
3. Contraction of uterine muscle
4. Myoepithelial cell contraction

Correct answer: 1. Lactogenesis

Explanation: Ans (a) Lactogenesis(Ref: Ganong, 25th ed/p.414)Major hormones that influence milk production are,#Prolactin - most important#Insulin#Growth hormone#Glucocorticoids